All the following statements art true for the viral genome in HIV, Except
1. They are diploid
2. They consist of DNA dependent DNA polymerase activity
3. They consist of three major genes-gag, pol and envcharacteristic of all retroviruses
4. They are most complex of human retroviruses

Correct answer: 2. They consist of DNA dependent DNA polymerase activity